The best agent for increasing HDL cholesterol is -
1. Statin
2. Nicotinic acid
3. Gugulipids
4. Fibrates

Correct answer: 2. Nicotinic acid

Explanation: Ans. is 'b' i.e., Nicotinic acid Nicotinic acid (Niacin)o There are three main type of lipases related to metabolism of lipoproteins -1. Lipoprotein lipase - Present in blood vessels and causes hydrolysis of tryglyceride content of VLDL and chylomicrones.Hepatic lipase - Converts IDL to LDL by hydrolysing the triglyceride content of IDL.Hormone sensitive lipase - Present intracellularly in peripheral tissue and causes intracellular lipolysis by hydrolysing triglycerides.o Niacin (Nicotinic acid) inhibits intracellular lipolysis by inhibiting hormone sensitive lipase - 4 intracellular FFA to liver - 4 triglyceride synthesis.o Niacin also increases the activity of lipoprotein lipase - T hydrolysis of VLDL triglyceride,o Nicotinic acid also reduces the production of VLDL in liver by inhibiting TG-synthesis - indirectly the VLDL degradation products IDL and LDL are also reduced,o Nicotinic acid is the most effective drug to raise HDL-CH.o Increased HDL is due to interference of direct pathway of HDL cholesterol to liver which involves apo-A1 - Niacin decreases apo-A1 mediated hepatic clearance,o Nicotinic acid is used in type I, III, IV & V hyperlipoproteinemias.